Thyroxine can be given in which thyroid carcinoma:
1. Papillary
2. Medullary
3. Anaplastic
4. Undifferentiated

Correct answer: 1. Papillary

Explanation: Ans. A: PapillaryOn the basis that most of the tumours are TSH depedent it is a standard practice to prescribe thyroxine for all patients after operation for differentiated thyroid carcinoma (papillary and follicular type) to suppress endogenous TSH production.